Beer - claw appearance on CECT abdomen is seen in
1. Hepatic laceration
2. Pancreatic laceration
3. HCC
4. RCC

Correct answer: 1. Hepatic laceration

Explanation: Beer-claw laceration : Multiple linear laceration of liver on CECT abdomen Ref: Sabiston 20th edition Pgno : 437-439